All are tributaries of portal vein EXCEPT:
1. Left gastric vein
2. Right gastric vein
3. Inferior pancreatoduodenal vein
4. Superior mesenteric vein

Correct answer: 3. Inferior pancreatoduodenal vein

Explanation: Ans. C Inferior Pancreatoduodenal veinTributaries of Portal Vein1. Left Gastric vein2. Right Gastric vein3. Superior Pancreatoduodenal vein4. Splenic vein5. Superior mesenteric vein6. Inferior mesenteric vein7. Cystic veinExtra Mile* Hepatic portal vein is a blood vessel that conducts blood from GIT and spleen to the liver.* Liver receives 75% of its blood through hepatic portal vein, and the remainder from hepatic artery proper.* Note: blood leaves the liver to the heart in the hepatic vein.